Hand over mouth technique was first described by
1. Dr. Evangeline Jordan
2. Addelson and Gold Fried
3. Dr. Goldman
4. Dr. G.V. Black

Correct answer: 1. Dr. Evangeline Jordan